Immunostimulant agent among the following is -
1. Pirenzepine
2. Levamisol
3. Albendazole
4. Methotrexate

Correct answer: 2. Levamisol

Explanation: Ans. is 'b' i.e., Levamisol